All are associated with pituitary apoplexy except :
1. >Hyperthyroidism
2. >Diabetes mellitus
3. >Sickle cell anemia
4. >Hypertension

Correct answer: 1. >Hyperthyroidism

Explanation: Hyperthyroidism /Ref. Harrison 17th/e 2198-2199 & 16thie p 2078] Pituitary apoplexy Acute intrapituitzuy hemorrhagic vascular event causing substantial damge to pituitary. Symptoms of pituitary apoplexy Endocrinal emergency Severe hypoglycemia Hypotension Central nervous system hemorrhage and death. Acute symptoms Severe headache with signs of meningeal irritation B/L visual changes Ophthalmoplegia Cardiovascular collapse and loss of consciousness (in severe cases) Causes of pituitary apoplexy Preexisting adenoma (spontaneously) Pospaum (sheehan's syndrome) Diabetes mellitus Hypertension Sickle cell anemia Acute shock Diagnosis CT or MRI reveal signs of intratumoral or cellar hemorrhage with deviation of pituitary stalk and compression of pituitary tissue. Treatment Patient with no evidence of visual loss or impaired consciousness - Managed conservatively with high dose glucocorticoid Patient with significant visual loss and loss of consciousness - Require urgent surgical decompression - Visual recovery is inversely correlated with the length of the time after the acute event